The infratentorial dura is supplied by branches of the
1. Upper cervical spinal nerves and the vagus nerve
2. Accessory and upper cervical nerve
3. Only upper cervical nerves
4. Only vagus nerve

Correct answer: 1. Upper cervical spinal nerves and the vagus nerve

Explanation: The tentorium cerebelli is a tent-shaped fold of dura mater, forming the roof of the posterior cranial fossa.It separates the cerebellum from the occipital lobes of the cerebrum and broadly divides the cranial cavity into supratentorial and infratentorial compartments. The infratentorial compartment, in other words, is the posterior cranial fossa containing the hindbrain and the lower part of the midbrain. The posterior cranial fossa is supplied chiefly by recurrent branches from first, second and third cervical spinal nerves and partly by meningeal branches of the ninth and tenth cranial nerves. Ref: BD Chaurasia; Volume 3; 6th edition; Page no: 92